After splenectomy, the most common infection:
1. Pneumococci
2. E. coli
3. Klebsiella
4. Streptococcus

Correct answer: 1. Pneumococci

Explanation: Splenectomy increases the risk of following infections:

Bacterial:
Pneumococcal
H. influenzae
Some Gram -ve enteric organism
Parasitic – Babesia
Viral – No ↑ in risk of viral infection